A routine periapical radiograph of an upper central incisor is taken by the technician. A periapical radiolucency is observed in relation to 11. Although, there is no carious lesion involvement seen clinically and the patient also does not give history of any incidence of pain or discomfort in relation to this tooth. The most probable diagnosis is:
1. Periapical granuloma
2. Periapical abscess
3. Incisive foramen moved by parallax over apex of the 11
4. None of the above

Correct answer: 3. Incisive foramen moved by parallax over apex of the 11

Explanation: The incisive foramen varies markedly in its radiographic shape, size, and sharpness. It may appear smoothly symmetric, with numerous forms, or very irregular, with a well-demarcated or ill-defined border. The position of the foramen is also variable and may be recognized at the apices of the central incisor roots, near the alveolar crest, anywhere in between, or extending over the entire distance. The great variability of its radiographic image is primarily the result of,

The differing angles at which the X-ray beam is directed for the maxillary central incisors.
Some variability in its anatomic size.

Ref: White and Pharoah, pg-138